Asymmetric head shape is called?
1. Plagiocephaly
2. Dolicocephaly
3. Brachycephaly
4. Anencephaly

Correct answer: 1. Plagiocephaly

Explanation: Plagiocephaly -condition in which head shape is asymmetric in the sagittal or coronal plane that can result from:- Asymmetry in suture closure,Or Asymmetry of brain growth or deformation of skull